All of the following are seen in psoriasis except -
1. Auspitz sign present
2. 10% associated with arthritis
3. It is premalignant disease
4. Worsening of disease during winter

Correct answer: 3. It is premalignant disease